Slip ring technology is useful for:
1. CT
2. MRI
3. USG
4. PET

Correct answer: 1. CT

Explanation: Ans. CT